False regarding Anorexia nervosa -
1. Psychiatric symptom
2. Exercise
3. Weight loss
4. Decreased appetite

Correct answer: 4. Decreased appetite

Explanation: The term Anorexia nervosa is a misnomer as loss of appetite is a rare symptom. Rather, there is self - imposed the dietary restriction.
Psychiatric illness like depression may be associated with anorexia nervosa.
Patients who cannot control their voluntary restriction of food may have binge eating followed by self-induced vomiting, abuse of laxative or diuretics and ritualistic exercising, extensive cycling, walking, jogging, and running are common activities.